Largest protein in body is ?
1. Titin
2. Myosin
3. Actin
4. Troponin

Correct answer: 1. Titin

Explanation: Ans. is 'a' i.e.,TitinTitin is a muscle proteinIt connects Z lines with M line in a sarcomereIt is responsible for passive elasticity of a muscleTitin is the third most abundant protein of human body (after myosin and actin)Titin is the largest protein in human body. It has 34350 aminoacids.